Most common site of distant metastasis inintraorbital malignant melanoma is?
1. Brain
2. Lung
3. Liver
4. Lymph nodes

Correct answer: 3. Liver

Explanation: Ans. is `c i.e., Liver Malignant melanoma mostly arise in uvea and uveal malignant melanoma is the most common primary intraocular tumor. The most common site for distant metastasis of uveal melanoma is liver. The liver is the most common site of metastasis of uveal melanoma" -- Clinical oncology The liver is the most common site of metastatis from primary ocular melanoma" -- Smith & Nesi's Uveal melanoma Uveal melanoma is the most common primary intraocular tumor in adults. Most of the (85%) uveal melanomas arise in the choroid. So, choroidal melanoma is the most common primary intraocular tumor in adults. Tumor arises from dendritic melanocytes (neural crest, neuroectodermal origin). Histologically choroidal melanoma can be divided into: - Spindle cell melanomas : - These melanomas contain predominantly spindle cells. These melanomas are further subdivided into Spindle A or Spindle B depending upon the type of cells. Epitheloid cell melanomas : - Contain epitheloid like cells. Mixed cell melanomas : - Contain both spindle cells and epitheloid cells. Choroidal melanoma presents as a sessile or dome shaped mass located deep to the sensory retina. A secondary non-rheugmatogenous retinal detachment frequently occurs. Involvement of vortex vein by tumor results in glaucoma. With continued growth, a choroidal melanoma can rupture Bruch's membane and assume a mushroom shape. When that occurs, tumor has a tendency to bleed, and vitreal or subretinal hemorrhage may occur.